Early complication of TIPSS is
1. Encephalopathy
2. Capsule rupture and bleeding
3. Shunt stenosis
4. Shunt thrombosis

Correct answer: 2. Capsule rupture and bleeding

Explanation: Transjugular intrahepatic portosystemic stent shunts The emergency management of variceal haemorrhage has been revolutionised by the introduction of transjugular intrahepatic portosystemic stent shunts (TIPSS). Over a short period, this has become the main treatment of variceal haemorrhage that has not responded to drug treatment and endoscopic therapy. The shunts are inserted under local anaesthetic, analgesia and sedation, using fluoroscopic guidance and ultrasonography. Via the internal jugular vein and SVC, a guidewire is inserted into a hepatic vein and through the hepatic parenchyma into a branch of the portal vein. The track through the parenchyma is then dilated with a balloon catheter to allow insertion of a metallic stent, which is expanded once a satisfactory position is achieved to form a channel between systemic and portal venous systems. A satisfactory drop in portal venous pressure is usually associated with good control of the variceal haemorrhage. The main early complication of this technique is perforation of the liver capsule, which can be associated with fatal intraperitoneal haemorrhage. TIPSS occlusion may result in further variceal haemorrhage and occurs more commonly in patients with well-compensated liver disease and good synthetic function. Post-shunt encephalopathy is a confusional state caused by the portal blood bypassing the detoxification of the liver. It occurs in about 40% of patients, a similar incidence to that found after surgical shunts. If severe, the lumen of the TIPSS can be reduced by insertion of a smaller stent. T he main contraindication to TIPSS is portal vein occlusion. The main long-term complication of TIPSS is stenosis of the shunt, which is common (approximately 50% at 1 year) and may present as further variceal haemorrhage. Ref: Bailey and love 27th edition pgno:1164